In Sickle cell trait patients, there is reduced risk of which of the following disease?
1. Typhoid
2. Malaria
3. G-6PD deficiency
4. Filaria

Correct answer: 2. Malaria

Explanation: Malaria is not seen in people sickle cell anaemia,thalassemia,G6PD deficiency disorders.Ref.PARK'S TEXTBOOK OF PREVENTIVE AND SOCIAL MEDICINE 21st edition page no 236